Attachment of Vitreous is Strongest at ?
1. Foveal region
2. Back of lens
3. Ora serrata
4. Margin of optic disc

Correct answer: 3. Ora serrata

Explanation: Ans. is 'c' i.e., Across ora serrata Attachment of vitreouso Vitreous is attached anteriorly to the lens (Hyloid capsular ligament of Wieger) and ciliary epithelium in front of the ora serrata.o The part of vitreous about 4 mm across the ora serrata is known as the base of vitreous " where the attachment is strongest.o Posteriorly vitreous is attached to the edge of the optic disc and macula lutea (foveal region) forming a ring-shaped structure around them.